Specificity of a screening test is the ability of a test to detect
1. True positives
2. False positives
3. False negatives
4. True negatives

Correct answer: 4. True negatives

Explanation: Specificity is defined as the ability of a test to identify correctly those who do not have the disease, that is 'true-negatives'Sensitivity is defined as the ability of a test to identify correctly all those who have the disease, that is 'true-positive'